Thoracotomy is indicated in all of the following Except
1. Penetrating chest trauma
2. Rappidly accumlating Hemothorax
3. Massive air leak
4. Pulmonary contusion

Correct answer: 4. Pulmonary contusion

Explanation: Indications of thoracotomy after chest trauma Cardiac arrest (resuscitative thoracotomy) Massive hemothorax (drainage of more than 1500 ml of blood when a chest tube is first inserted or continuous haemorrhage of more than 200 ml/hr for more than 3 consecutive hours). Brisk bleeding (> 100 ml/15 min) Penetrating injuries of the anterior chest with cardiac tamponade. Large open wounds of the thoracic cage. Rupture of the bronchus, aorta, esophagus or diaphragm. A non-emergent indication of thoracotomy Empyema not resolved with tube thoracostomy Clotted hemothorax Lung abcess Thoracic duct injuries Tracheoesophageal fistulas Chronic sequelae of vascular injuries (pseudo aneurysms & AV fistulas)